Fincham's test is used to:
1. Diagnose congenital glaucoma
2. Diagnose acute congestive glaucoma
3. Differentiate diagnose of acute congestive glaucoma from cataract
4. Diagnose congenital cataract

Correct answer: 3. Differentiate diagnose of acute congestive glaucoma from cataract

Explanation: Differentiate diagnose of acute congestive glaucoma from cataract